Anaesthesia breathing circuit recommended for spontaneous breathing is –
1. Mapleson A
2. Mapleson B
3. Mapleson C
4. Mapleson D

Correct answer: 1. Mapleson A